A molecule used to direct the presence of specific fragment of DNA or RNA is known as
1. Primosome
2. Probe
3. Pseudogene
4. Signal

Correct answer: 2. Probe

Explanation: Probe is a fragment of DNA or RNA of variable length (usually 100-1000 bases long) which can be radioactively labeled.It can then be used in DNA or RNA samples to detect the presence of nucleotide sequences (the DNA target) that are complementary to the sequence in the probe.The probe thereby hybridizes to single-stranded nucleic acid (DNA or RNA) whose base sequence allows probe-target base pairing due to complementarity between the probe and target.